CLL is characterised by following except ?
1. Small lymphocytes in peripheral smear
2. Hepatosplenomegaly
3. Age > 50 years and usually females
4. ZAP-70 is a marker

Correct answer: 3. Age > 50 years and usually females

Explanation: Ans is 'c' i.e., Age > 50 years and usually females